Most common cause of hemolytic uremic syndrome is –
1. E.coli
2. Shigella
3. Salmonella
4. Psedonomis

Correct answer: 1. E.coli

Explanation: Etiology of HUS

HUS usually follows an episode of acute gastroenteritis.
Less commonly, patient may present after an upper respiratory tract infection.
The organisms responsible are -
E.coli (most common) → EHEC (shiga toxin producing)           
Shigella dysenteriae     
Salmonella     
Bartonella   
Streptococcus pneumonia      
Campylobacter